A neonate while suckling milk can respire without difficulty due to:
1. Start soft palate
2. Small tongue
3. High larynx
4. Small pharynx

Correct answer: 3. High larynx

Explanation: Infant's larynx is positioned high in the neck level of glottis being opposite to C3 or C4 at rest and reaches Cl or C2 during swallowing. This high position allows the epiglottis to meet soft palate and make anasopharyngeal channel for nasal breathing during suckling.The milk feed passes separately over the dorsum of tongue and the side of epiglottis, thus allowing breathing and feeding to go on simultaneously.